Cholesteatoma is seen in?
1. ASOM
2. CSOM
3. Secretory otitis media
4. Osteosclerosis

Correct answer: 2. CSOM

Explanation: Cholesteatoma is commonly associated with the attico antral type of CSOM. Attico antral type of CSOM involves posterosuperior part of the cleft and is associated with an attic or marginal perforation. The disease is often associated with bone eroding processes such as cholesteatoma, granulations and osteitis. Ref: PL Dhingra 7th edition of Ear, Nose and Throat; Pg no 78